Origin and migration of cell population during embryonic craniofacial development
1. 0-18 days
2. 19 to 28 days
3. 29 to 38 days
4. 39-55 days

Correct answer: 2. 19 to 28 days